The goals  of  Minimal  Intervention Dentistry are all except:
1. Prevention of caries
2. Reduction in cariogenic bacteria
3. Removal of early lesions
4. Minimum surgical intervention of cavitated lesion

Correct answer: 3. Removal of early lesions

Explanation: Goals of Minimal Intervention include:

Prevention of caries.
Reduction in cariogenic bacteria.
Remineralization of early lesions.
Minimum surgical intervention of cavitated lesion.
Repair rather than replacement of defective restorations.

Reference: International Journal of Clinical Preventive Dentistry Volume 9, Number 2, June 2013;